Which of the following is used for cervical ripening?
1. Dinoprostone gel
2. Misoprostol tablets
3. Hyaluronic acid
4. All the above

Correct answer: 4. All the above

Explanation: Ans. is 'd' i.e., All the above o Cervical Ripening is a series of complex biochemical changes in the cervix which is mediated by the hormones. There is alteration of both cervical collagen and ground substance. Ultimately, the cervix becomes soft and pliable.Methods os cervical RipeningPharmacological MethodsNonpharmacological MethodsProstaglandins (PGs)o Dinoprostone (PGE); Gel, tablet, suppositoryo Misoprostol (PGE): Tableo Stripping the membranesOxytocinProgesterone receptor antagonistso Mifepristone (RU 486)o Amniotomy (artificial rupture of the membranes)o Mechanical dilators, osmotic dilators (laminaria)Relaxin: a protein hormone from corpus luteum, dissolutes cervical connective tissueo Transcervical balloon catheterHyaluronic acid Estrogeo Extra-amniotic saline infusionUse (oof - level) of misoprostol (PGE) for cervical ripening is safe and effective (ACOG - 2003)